Hydrocution is ?
1. Electric shock in water
2. Cold water submersion
3. Submersion in boiling water
4. None

Correct answer: 2. Cold water submersion

Explanation: Hydrocution : (immersion syndrome ) Type of atypical drowning Mechanism -sudden dyspnoea and vagal inhibition -->heart stops immediately.( ventricular fibrillation has also been reported.)